A patient with hypoxemia, hypercapnia, and polycythemia is able to restore his blood gases to normal by voluntary hyperventilation. Which of the following is the most likely location for the abnormalities seen on his blood gases?
1. cerebral cortex
2. bone marrow
3. ventricular septum
4. respiratory center

Correct answer: 4. respiratory center

Explanation: The primary pathology is likely to be located in the respiratory center. Cyanosis, especially when asleep, is caused by a combination of polycythemia and hypoxia. The symptoms of alveolar hypoventilation are caused by both hypercarbia and hypoxemia.